Enzyme regulated by phosphorylation are all except
1. Glucokinase
2. Glycogen synthase
3. Glycogen phosphorylase
4. Citrate lyase

Correct answer: 1. Glucokinase

Explanation: Examples of Mammalian Enzymes Whose Catalytic Activity Is Altered by Covalent Phosphorylation-Dephosphorylation: